Which fracture is commonly seen following Judicial Hanging
1. Odontoid fracture
2. Jafferson fracture
3. Hangman's fracture
4. All of the above

Correct answer: 3. Hangman's fracture

Explanation: Refer the byte "Hanging and Strangulation".